Which of the following acts as accelerator in Zinc oxide eugenol:
1. ZnCl2 + Eugenol
2. ZnCl2 + ZnSO4
3. Eugenol + ZnO
4. Zn(OH)2 + ZnO

Correct answer: 2. ZnCl2 + ZnSO4